Mammary gland is supplied by -
1. Subscapular artery
2. Musculo-phrenic artery
3. inferior epigastric artery
4. Superior epigastric artery

Correct answer: 1. Subscapular artery

Explanation: Arterial Supply of Breast: Axillary artery its branches: Superior thoracic artery, Thoracoacromial artery, Lateral thoracic artery and Subscapular artery Internal thoracic (mammary) artery the medial mammary arteries Perforating branches of second, third and fourth posterior intercostal arteries